Decrease in gastric acid secretion by all except ?
1. Ranitidine
2. Omeprazole
3. Sucalfate
4. Perenzepine

Correct answer: 3. Sucalfate

Explanation: Ans. is 'c' i.e., Sucralfate Drugsarpgalcer 1. Reduce gastric acid secretion H2 antihistaminic - Cimetidine, Ranitidine, Famotidine, Roxatidine. Proton pump inhibitors - Omeprazole, Lansoprazole, Pantoprazole, Rabeprazole, Esomeprazole. Anticholinergics - Pirenzepine, propantheline, oxyphenonium. Prostaglandin analogue - Misoprostol, enprostii, rioprostil. 2. Neutralization of gastric acid (antacids) Systemic - Sodium bicarbonate, sodium citrate. Non systemic - Magnesium hydroxide, Mag. trisilicate, aluminium hydroxide, Magaldrate, calcium carbonate. 3. Ulcer protectives Sucral fate, colloidal bismuth subcitrate, Prostaglandin analogue. 4. Anti H. pylori durgs Amoxicillin, clarithromycin, metronidazole, Tinidazole, tetracycline.